IgA deposits are seen in -
1. Henoch Schonlein purpura
2. Minimal Change Glomerulonephritis
3. Good Pasture's syndrome
4. Wegener's granulomatosis

Correct answer: 1. Henoch Schonlein purpura

Explanation: Ans. is 'a' i.e., Henoch Schonlein purpura o There is deposion of IgA, sometimes with IgG and C3, in the mesangial region in HSRo Has been explained in previous sessions.